All are TRUE regarding Bacteriological surveillance of drinking water quality except
1. Fecal streptococci are the indicator of recent contamination of water
2. Clostridium perfringens indicate remote contamination
3. Screening test for coliform in drinking water is Presumptive coliform test
4. Clostridium perfringens is the routinely used for bacteriological surveillance of drinking water

Correct answer: 4. Clostridium perfringens is the routinely used for bacteriological surveillance of drinking water

Explanation: Discussing options one by one: OPTION 1 - True - Fecal streptococci are the indicator of recent contamination of water. OPTION 2 - True - Clostridium perfringens indicate remote contamination of water. OPTION 3 - True - Screening test for coliform in drinking water is Presumptive coliform test. OPTION 4 - False - E Coli (Coliform count) is routinely used for bacteriological surveillance of drinking water.